Appendices epiploicae is seen in all part of large intestine except -
1. Sigmoid colon
2. Ascending colon
3. Caecum
4. Transverse colon

Correct answer: 3. Caecum

Explanation: Ans. is 'c' i.e., CaecumSmall bags of peritoneum filled with fat, called appendices epiploicae are present over the surface of large intestine, except for appendix, caecum and rectum.